Disk perforation is best examined by:
1. MRI
2. Arthrography
3. CT scan
4. Arthroscopy

Correct answer: 2. Arthrography

Explanation: Disk perforation and capsular tears are better detected with arthrography.
Textbook of oral medicine, oral diagnosis and oral radiology, Ravikiran Ongole, pg-314